When an outcome is compared with intendedobjectives, it is called as aEUR'
1. Monitoring
2. Evaluation
3. Input-Output analysis
4. Network analysis

Correct answer: 2. Evaluation

Explanation: Evaluation Terms used in Health Planning Objectives - An objective is a planned end-point of all activities. - It is a precise point. It is either achieved or not achieved. Target - Target often refers to a discrete activity such as the number of blood films collected or vasectomies done, it permits the concept of degree of achievement. Goal - A goal is defined as the ultimate desired state towards which objectives are directed. - Goals are not necessarily attainable - Unlike objectives and targets, goals are not constrained by time or existing resources. Monitoring - Monitoring is the day-to-day follow-up of activities during their implementations to ensure that they are proceeding as planned and are on schedule. Evaluation - Evaluation measures the degree to which objectives and targets are fulfilled and the quality of results obtained. - The purpose of evaluation is to assess the achievement of the stated objectives of a programme. - While monitoring is confined to day-to-day or on-going operation, evaluation is concerned with the final outcome.